If birth rate of a sub-centre of population 5000 is 25/1000 then expected no. of pregnancies in a year will be:
1. 69
2. 125
3. 138
4. 150

Correct answer: 3. 138

Explanation: Expected no. of live births (Y)/year = Birth rate (per 1000 population) x population of the area /1000 As some pregnancies may not result in a live birth (i.e. abortions and stillbirths may occur), the expected number of live births would be an under-estimation of the total number of pregnancies. Hence, a correction factor of 10% is required, i.e. add 10% to the figure obtained above. So, the total number of expected pregnancies (Z) = Y + 10% of Y Given Birth rate is 25/1000 population Population under the sub-center 5000 Therefore, expected number of live births= {25 x 5000}/1000= 125 births Correction factor (pregnancy wastage) = 10% of 125 say 13 Therefore, total no. of expected 125 + 13 =138 pregnancies in a year